Rosette cataract is seen in
1. Radiation injury
2. Thermal injury
3. Diabetes
4. Concussional injury

Correct answer: 4. Concussional injury

Explanation: Ans) d (Concussional injury) Ref: kanski 6th ed p 854- 857Concussion injury ' damage of lens fibres and capsule ' influx of aqueous humour' hydration of lens fibres' opacification usually confined to poste-rior subcapsular cortex in a flower shaped manner (rosette cataract)Features of blunt trauma:1. Cornea -comeal abrasionacute comeal edematears in descemets membrane2. Anterior chamber - hyphaema, anterior uveitis3. Pupil - miosis, pigmentary imprinting on anterior lens capsule (vossius ring)4. Irisiridodialysis 'D shaped pupiltraumatic aniridia5. Lens -cataract -rosette cataract subluxation dislocation6. Retina -commotion retinae - trauma can lead to cloudy swelling ' grey ap-pearance choroidal rupture7. Optic nerve -optic neuropathy optic nerve avulsionTypes of cataract -Snow flake cataract- diabetesMyotonic dystrophy- stellate posterior subcapsular cataractAtopic dermatitis- shield like anterior subcapsular cataractComplicated cataract- seen in chronic anterior uveitisOil droplet cataract- galactosemia